Which committee aimed at having a health center to serve a population of 10,000 to 20,000?
1. Shrivastav committee
2. Bhore committee
3. Mudhaliar committee
4. Kartar Singh committee

Correct answer: 2. Bhore committee

Explanation: Some important Bhore committee, 1946 recommendations areaRt)Integration of preventive and curative services at all administrative levelsb)Development of PHC in 2 stagesi.Short-term measure: PHC for 40,000 population in rural areasii.Long-term programme: Primary health units with 75 bedded hospitals for 10,000 to 20,000 population C) 3 months training in preventive and social medicine to prepare social physicians Park 23e pg: 873